The most serious alkali burns of the eye are produced by
1. Caustic soda
2. Liquid ammonia
3. Lime
4. None of the above

Correct answer: 2. Liquid ammonia

Explanation: CHEMICAL INJURIES Alkali burns: Alkali burns are among the most severe chemical injuries known to the ophthalmologists. Common alkalies responsible for burns are: lime, caustic potash or caustic soda and liquid ammonia (most harmful). Clinical picture: It can be divided into three stages: 1. Stage of acute ischaemic necrosis: In this stage; i. Conjunctiva shows marked oedema, congestion, widespread necrosis and a copious purulent discharge. ii. Cornea develops widespread sloughing of the epithelium, oedema and opalescence of the stroma. iii. Iris becomes violently inflamed and in severe cases both iris and ciliary body are replaced by granulation tissue. 2. Stage of reparation: In this stage conjunctival and corneal epithelium regenerate, there occurs corneal vascularization and inflammation of the iris subsides. 3. Stage of complications: This is characterised by development of symblepharon, recurrent corneal ulceration and development of complicated cataract and secondary glaucoma. Ref:- A K KHURANA; pg num:-414,415